Which of the following is not a parameter for the WHO classification of malnutrition:
1. Symmetrical edema
2. Weight for height
3. Weight for age
4. Height for age

Correct answer: 3. Weight for age

Explanation: Weight-for-age is not a parameter for the WHO classification of malnutrition. It has limited clinical significance as it does not differentiate between wasting and stunting. WHO Classification Parameter Moderate malnutrition Severe malnutrition Symmetrical edema no yes Weight/height (wasting) <-2SD to >-3SD (70 to 79% of expected) <-3SD (<70%) Height/age (Stunting) <-2SD to > -3SD (85 ot 89%) < -3SD (<85%) Ref: Nelson textbook of pediatrics 21st edition Chapter 57